For the field diagnosis of trachoma, the WHO recommends that follicular and intense trachoma inflammation should be assessed in -
1. Women aged 15-45 yrs
2. Population of 10 to 28 years range
3. Children aged 0-10 years
4. Population above 25 years of age irrespective of sex

Correct answer: 3. Children aged 0-10 years

Explanation: Children aged 0-10 years. Reference: National Health Programs of India by Dr.J.Kishore, 7th edition, pg no:365.